A substance which binds to the enzyme other than catalytic site is -
1. Competitive inhibitor
2. None of the above
3. Reversible inhibitor
4. Non-competitive inhibitor

Correct answer: 4. Non-competitive inhibitor

Explanation: Non-competitive inhibitor
o In this type of inhibition no competition occurs between substrate and inhibitor.
o Inhibitor is structurally different from substrate and binds to enzyme at a site other than the substrate binding (catalytic) site.
Occupancy of this site by the inhibitor alters the shape of the enzyme such that its catalytic activity is reduced or lost.
o The substrate is still able to bind the enzyme, but the enzyme cannot catalyze the reaction when inhibitor is bound.
o Thus, the non-competitive inhibitor does not block the active site of enzyme, but behaves as though it were removing active enzyme from the solution.
o Evidently, unlike competitive inhibition, increasing the substrate concentration does not reverse the inhibition,